Which of the following belongs to category 'X' risk, if given to pregnant women -
1. Lidocaire
2. Morphine
3. Aspirin
4. Thalidomide

Correct answer: 4. Thalidomide

Explanation: Ans. is 'd' i.e., Thalidomide Risk category of drugs during pregnancyCategory ExamplesANo riskAdequate studies in pregnant women have failed to demonstrate a risk to the foetusInj. Mag. sulfate, thyroxineBNo evidence of risk in humansAdequate human studies are lacking, but animal studies have failed to demonstrate a risk to the foetusorAdequate studies in pregnant women have failed to demonstrate a risk to the foetus, but animal studies have shown an adverse effect effect on the foetusPenicillin V, amoxicillin, cefactor, erythromycin, paracetamol, lidocaineCRisk cannot be ruled oldNo adequate studies in pregnant women, and animal studies are lacking or have shown an adverse effect on foetus, but potential benefit may warrant use of the drug in pregnant women despite potential riskMorphine, codeine, atropine, corticosteroids, adrenaline, thiopentone, bupivacaineDBenefit may out weigh potential riskThere is evidence of human foetal risk, but the potential benefits from use of the drug may be acceptable despite the potential riskAspirin, phenytoin, carbamazepine, valproate, lorazepam, methotrexateXContraindicatedStudies in animals or humans have demonstrated foetal abnormalities, and potential risk clearly outweighs possible benefitEstrogens, isotretinoin, ergometrine, thalidomide